Lobstein disease is:
1. Fibrous dysplasia.
2. Achondroplasia.
3. Osteogenesis imperfecta.
4. Osteopetrosis.

Correct answer: 3. Osteogenesis imperfecta.

Explanation: Osteogenesis imperfecta is also known as brittle bone disease or lobstein disease.